Mittendorf dot is found on
1. Anterior capsule of lens
2. Posterior capsule of lens
3. Vitreous
4. Retina

Correct answer: 2. Posterior capsule of lens

Explanation: Answer- B. Posterior capsule of lensDuring the development of eye there is a blood vessel which runs between the optic nerve and the back of the lens, called hyaloid vessel. This vessel carries nutrients and orygen to the developing parts ofthe anterior section ofeye. This hyaloid vessel along with surrounding embryonic material is called primary vitreous. Hyaloid vessels and primary vitreous begin to involute in the second month of gestation giving way to the secondary vitreous (the vitreous humor). Small remnants of the system are common findings in healthy adults, e.g. Bergmeister papilla (tuft of tissue at the optic disc) and miftendorf dot (tag of tissue on the posterior capsule of lens). However extensive remnants of this "hyaloid vessel - primary vitreous" system are called persistent hyperplastic primary vitreous.